JAK -2 mutations is seen in
1. I.T.P
2. Polycythemia Vera
3. C.M.L
4. C.M.M.L

Correct answer: 2. Polycythemia Vera

Explanation: JAK-2 Mutation is seen in:-
• Polycythemia Vera
• Primary myelofibrosis
• Essential Thrombocytosis